Warm autoimmune hemolytic anaemia may be seen in all of the following conditions except -
1. Systemic lupus erythematosus
2. α-Methyl dopa therapy
3. Non Hodgkin's lymphoma
4. Mycoplasma pneumonia

Correct answer: 4. Mycoplasma pneumonia